The mechel's diverticulum is situated within about .............. cm from the ileocecal valve
1. 25
2. 60
3. 75
4. 100

Correct answer: 2. 60

Explanation: .It is a congenital diverticulum arising from the terminal ileum and is part of the unobliterated proximal portion of the vitello intestinal duct. It is- * 2% common. * 2 feet from the ileo-caecal valve. * 2 inch in length. * It is congenital, results from incomplete closure of vitello-intestinal duct. * It is the most common congenital anomaly of small intestine. * Arises from the antimesenteric border of the ileum, containing all three layers of the bowel with independent blood supply. ref:SRB's manual of surgery,ed 3,pg no 798